All of the following can cause methemoglobinemia except-
1. Prilocaine
2. Benzocaine
3. Nitroglycerine
4. Bupivacaine

Correct answer: 4. Bupivacaine

Explanation: Methemoglobinemia is a rare but potentially life - threatening complication that may follow theadministration of certain drugs that causes oxidation of hemoglobin to Methemoglobin. Drugs whichcause this - prilocaine benzocaine, rarely Lignocaine, nitroglycerine, Phenytoin sulphonamide.